Fatty liver with hepatomegaly is seen in?
1. Marasmus
2. Metabolic Syndrome
3. Wilson disease
4. Nutmeg liver

Correct answer: 2. Metabolic Syndrome

Explanation: Marasmus - No hepatomegaly Wilson disease - Copper damage causing cirrhosis Nutmeg liver - Cause of cardiac cirrhosis Hepatomegaly- Syndrome X / Metabolic syndrome - Kwashiorkor